In case of massive bleeding during surgery which sized cannula is used?
1. 16 G
2. 20 G
3. 22 G
4. 24 G

Correct answer: 1. 16 G

Explanation: Ans. (a) 16G* Grey Venflon is used for blood transfusion during massive bleeding - Size of Grey Venflon =16G.* Green Venflon is commonly used during surgery - Size of green Venflon =18G.